Which is not autoimmune disease
1. SLE
2. Grave's disease
3. Myasthenia Gravis
4. Sickle cell disease

Correct answer: 4. Sickle cell disease

Explanation: Examples of autoimmune diseases Sickle cell disease is caused by utations in the HBB gene cause sickle cell disease. It is a group of disorders that affects hemoglobin , the molecule in red blood cells that delivers oxygen to cells throughout the body. People with this disorder have atypical hemoglobin molecules called hemoglobin S, which can distort red blood cells into a sickle, or crescent, shape. Ref - Davidson's medicine 20e , researchgate.net